HCG secreted from:
1. Placenta
2. Pancreas
3. Lung
4. Liver

Correct answer: 1. Placenta

Explanation: Ans A. (Placenta) hCG is produced by the syncytiotrophoblast of the placenta. Its value reach maximum levels ranging 100 IU & 200 IU/ml b/w 60-70 days of pregnancy.It can be detected in the material serum or urine as early as 8-9 days following ovulation.The rescue & maintenance of corpus luteum till 6 wk ofpregnancy is the major biological function of hCG- Dutta obstetrics 6th/ 58"It can be measured by radioimmunoassay & detected in blood as early as 6 davs after conception Ganong 22th/ 449Hormone produced by cvtotrophoblastIt produces hypothalamus kike releasing factors; Corticotrophin releasing hormone (CRH) Gonadotrophin releasing hormone (GnRH) Growth hormone releasing hormone (Gjrh) Thyrotrophin releasing hormone (TRH)Other Neuropeptide YHormones produced by syncytiotrophoblastProtein hormone HCG Human placental lactogen-HPL - Human chorionic thyrotropin (HCT) Pregnancy specific (3-1 glycoprotein (PS(3G) Pregnancy associated plasma protein A (PAPPA)Growth factors Inhibin Activin Transforming growth factor (p) Epidermal growth factorSteroid hormones: Estrogen ProgesteroneOther: Relaxin (also secreted by corpus luteum & deciduas).hCG: Review of facts# It is a glycoprotein'-1 consisting of a hormone non-specific & a hormone specific b subunit.# hCG is chemically Si functionally similar to pituitary luteinising hormone. The a subunit is biochemically similar to LH, FSH & TSH where as the b subunit is relatively unique to hCG.# It is produced by the syncytiotrophoblasf3 of the placenta and secreted into the blood of both mother & fetus# Half life of hCG is about 24 hours# By radioimmunoassay it can be detected in the maternal serum or urine as early as 8-9 days" following ovulation. In early pregnancy, the doubling time of hCG concentrations is plasma is 1.4-2 days'3. The blood & urine values reach maximum levels ranging 100 IU & 200 lU/ml b/w 60-70 days of pregnancy'# It is commercially obtained from the urine of pregnant women- Shaws Gynaecology 14th/137# The rescue & maintaince of corpus luteum till 67 weeks of pregnancy is the major biological function of hCG.